TNF-alpha inhibitor is
1. Infliximab
2. Efalizumab
3. Mannose-6-phosphate
4. Decorin

Correct answer: 1. Infliximab

Explanation: (A) Infliximab [Harrison18-2491; G&G12-1018; Il,h-I419;# ANTI-TNF-ALPHA INHIBITORS:> Adalimumab, etanercept, and infliximab are antibodies that bind TNF alfa a proinflammatory cytokine.> Blocking TNF alfa from binding to TNF receptors on inflammatory cell surfaces results in suppression of downstream inflammatory cytokines such as IL-1 and IL-6 and adhesion molecules involved in leukocyte activation and migration.> An increased risk of lymphoma is common to each of these agents.> Infliximab is a human-mouse chimeric lgG1 monoclonal antibody possessing human constant (Fc) regions and murine var able regions.> Infliximab is currently approved for use in Crohn's disease, ulcerative colitis, rheumatoid arthritis, ankylosing spondylitis, and psoriatic arthritis.> Efalizumab is a recombinant humanized anti-CD11 a monoclonal antibody approved for the treatment of adult patients with severe psoriasis.> Binding of Efalizumab to CD11a (the alpha subunit of LFA-1) inhibits the interaction of LFA-1 on all lymphocytes with intercellular adhesion molecule-1 (ICAM-1), thereby inhibiting the adhesion, activation, and migration of lymphocytes into skin.> Efalizumab is administered by subcutaneous injection.Infliximab is a monoclonal antibody against TNF. It is used to treat autoimmune diseases.> Decorin & Mannose-6-phosphates are TGF-beta inhibitors.